Which of the following is not true about rhegmatogenous retinal detachment?
1. It is caused due to fibrous bands in the vitreous
2. Presents as floaters
3. Surgery is the primary treatment
4. Can extend up to ora serrata

Correct answer: 1. It is caused due to fibrous bands in the vitreous

Explanation: Ans. a. It Is caused due to fibrous bands In the vitreous (Ref: Yanoff and Duker 4/e p649)Fibrous bands in the vitreous lead to fractional retinal detachment, not the rhegmatogenous retinal detachment.'A rhegmatogenous retinal detachment (RRD) occurs when a tear in the retina leads to fluid accumulation with a separation of the neurosensory retina from the underlying retinal pigment epithelium. - Yanoff and Duker 4/e p649For explanation, see question no, 168, AIIMS November 2014.